A person has recurrent intrusive thoughts which he thinks are irrational and wants to stop is:
1. Compulsion
2. Obsession
3. Delusion
4. Hallucination

Correct answer: 2. Obsession

Explanation: Ans. Obsession